An elderly male presents with pain in his shoulders and hips. Temporal arteries are tender to palpation. ESR is 105 mm/L.
1. Churg-Strauss syndrome
2. Cryoglobulinemic vasculitis.
3. Temporal arteritis
4. Granulomatosis with polyangiitis (Wegener granulomatosis)

Correct answer: 3. Temporal arteritis

Explanation: The large vessel vasculitides include temporal (giant cell) arteritis and Takayasu arteritis. Temporal arteritis typically occurs in older patients and is accompanied by aching in the shoulders and hips, jaw claudication, and a markedly elevated ESR. Takayasu arteritis, a granulomatous inflammation of the aorta and its main branches, typically occurs in young women. Symptoms are attributed to local vascular occlusion and may produce arm or leg claudication. Systemic symptoms of arthralgia, fatigue, malaise, anorexia, and weight loss may precede the vascular symptoms. Surgery may be necessary to correct occlusive lesions.